False about Barrett’s oesophagus is:
1. In short – segment Barrett’s there is less than 3 cm of columnar epithelium
2. Barrett’s ulcer occurs just above the squamocolumnar junction
3. If a peptic stricture occurs in Barrett’s oesophagus it always occurs at the new squamocolumnar junction
4. It is a premalignant condition

Correct answer: 2. Barrett’s ulcer occurs just above the squamocolumnar junction

Explanation: Barrett’s ulcer is an ulcer in the columnar lined portion of a Barrett’s oesophagus.
These are distinct from the more usual erosions of reflux oesophagitis that always occur at or just above the squamocolumnar junction.